With which of the following receptors theophylline has an antagonistic interaction ?
1. Histamine receptors
2. Bradykinin receptors
3. Adenosine receptors
4. Imidazoline receptors

Correct answer: 3. Adenosine receptors